One of the following drug is NOT effective against anaerobes -
1. Penicillin
2. Chloramphenicol
3. Gentamicin
4. Clindamycin

Correct answer: 3. Gentamicin

Explanation: Ans. is 'c' i.e., Gentamicin